More potent and non toxic drug against herpes virus is
1. Zidovudine
2. Acyclovir
3. Nystatin
4. Amantidine

Correct answer: 2. Acyclovir